Intracellular vesicle targeting, docting and fusion is done by which of the following
1. Rho
2. P 2 x 3
3. Rab
4. Ras

Correct answer: 3. Rab

Explanation: Ans: C. RabSmall GTPase family:G proteins are divided into two groups, with a major family being thesmall G proteins or small GTPases (20 - 40 kDa).Rab functions: Intracellular vesicle targeting. docking and fusion.